Cataract is seen in all of the following EXCEPT:
1. Wilson's disease
2. Diabetes mellitus
3. Hereditary fructose intolerance
4. Galactosemias

Correct answer: 3. Hereditary fructose intolerance

Explanation: In case of diabetics sugar alcohols (sorbitol) is present, which is hygroscopic in nature i.e. they absorb water. So, if this sugar alcohol is present in excess in cells, it will cause cell swelling. Especially it gets accumulated in lens of the eye causing cataract. 1. Glucose forms Sorbitol which gives rise to Snow Flake Cataract 2. Galactose forms Galactitol/Dulcitol which gives rise to Oil Drop Cataract Wilson's disease: (Condition of Cu excess in body): Leads to Sun Flower Cataract. No cataract is seen in case of Hereditary Fructose Intolerance. Diabetic Cataract - Snowflake on breadcrumb cataract Kayser Fleisher ring: Seen in Wilson's disease